Which is the treatment of choice for irradiation in Chordoma?
1. Protons
2. Electrons
3. Gamma radiation
4. 3D - C

Correct answer: 1. Protons

Explanation: * Chordoma: * Slow-growing neoplasm * Arising from cellular remnants of notochord. * Arise from bone in skull base and along spinal cord. * Most common locations - # Cranially at clivus # In sacrum at bottom of spine * Radiation therapy: * Are relatively radioresistant * High doses of radiation required to control. * Hence, high focus radiation like proton therapy and carbon ion therapy are preferred than conventional radiation methods. * Close proximity to vital structures like brain stem, requires high precision and accuracy for any planned surgical resection. * Radiation with high accuracy and minimal damage with maximal safety is delivered. REF: DAVID SUTTON 7TH ED